Which of the following is not true regarding clasp retained removable partial denture
1. It causes strain on abutment teeth.
2. Clasp can be unesthetic
3. It protects the teeth from caries
4. It is used more commonly than attachment retained partial dentures

Correct answer: 3. It protects the teeth from caries

Explanation: Caries may develop beneath clasp components, especially if the patient fails to keep the prosthesis and the abutments clean.